Misoprostol is an analogue of
1. PGE1
2. PGE2
3. PGF2alfa
4. PGI2

Correct answer: 1. PGE1

Explanation: Misoprostal: PGE-1 Given transvaginally and orally Dose of 25 micrograms every 4 hrs is found to be more effective than PGE -2 for cervical ripening and labor induction. Oral use of misoprostal is less effective than vaginal administration . Ref: Dutta Obs 9e pg 485.